The following are the primary sites of acute gonococcal infection except :
1. Urethra
2. Bartholin's gland
3. Skene's gland (paraurethral glands)
4. Ectocervix

Correct answer: 4. Ectocervix

Explanation: Sites of gonococcal infection columnar epithelium of glands of skene Bartholin's gland urethra and its glands fallopian tubes endocervix D.C.DUTTA'S TEXTBOOK OF GYNECOLOGY,Pg no:147,6th edition